Most common complication of mumps in children is
1. Orchitis
2. Aseptic meningitis
3. Pancreatitis
4. Myocarditis

Correct answer: 2. Aseptic meningitis

Explanation: (B) Aseptic meningitis > In adult males, mumps can cause bilateral orchitis and sterility, Meningitis usually follow parotitis and acute pancreatitis occurs in 2nd week, may result in diabetes mellitus.> Meningo encephalitis results 3-10 days after onset of glandular swelling.> Incubation period of mumps is 12-21 days (Mean 17 days)> COMPLICATIONS OF MUMPS: Epididymo-orchitis is a complication seen in about a third of postpubertal male patients. The testis becomes swollen and acutely painful, with accompanying fever and chills. Orchitis is usually unilateral but when it is bilateral and followed by testicular atrophy, sterility or low sperm counts may result. The central nervous system is involved in about 60 per cent of cases, as indicated by pleocytosis in the CSF but only about 10 per cent show symptoms of meningitis.> Mumps has been reported to cause about 10-15 per cent of cases of aseptic meningitis'. Mumps meningitis and meningoencephalitis usually resolve without sequelae but deafness may sometimes result. Munps meningitis may occasionally occur in the absence of parotitis, when diagnosis rests solely on laboratory evidence. The virus can be grown readily from the CSF in the early phase of meningitis.> Other less common complications are arthritis, oophoritis, nephritis, pancreatitis, thyroiditis and myocarditis. Most common complication of mumps in children is aseptic meningitis.